Metachromatic granules can be stained by
1. Albert stain
2. Gram stain
3. Gram-negative stain
4. Prussian blue

Correct answer: 1. Albert stain

Explanation: Ref: Ananthnarayan, 9th ed. MedPub* Albert stain is a type of differential stain used for staining the volutin granules also known as Metachromatic granules found in Corynebacterium diphtheriae.* The name metachromatic is because of its property of changing color, i.e. when stained with blue stain they appear red in colour. When grown in Loffler's slopes, C. diphtheriae produces large number of granules.* Stains used for C. Diphtheriae:# Ponders stain# Albert stain# Neisser stain# Loeffler methylene blue